A patient who has had a recent amalgam filling in the upper teeth has a gold filling in the lower teeth, the patient complains of pain. The reason for this can be mainly
1. improper amalgam filling
2. pulp exposure
3. galvanism
4. none of the above

Correct answer: 3. galvanism